Pseudomyxoma peritonei occurs in
1. Mucinous cystadenocarcinoma of ovary
2. Carcinoma endometrium
3. Ovarian dermoid
4. Fibroid uterus

Correct answer: 1. Mucinous cystadenocarcinoma of ovary

Explanation: i.e. (Mucinous cystadenocarcinoma of the ovary): (375-388-Shaw9s 15th) (1003-Bailey & Love 25th) (476-CSDT 13th)PSEUDOMYXOMA PERITONEI* Caused by low grade mucinous cystadenocarcinomas of the appendix or ovary* Recent studies suggest that most cases arise from a primary appendiceal tumour with secondary implantation on to one or both ovaries* The abdomen is filled with a yellow jelly, large quantities of which are often encysted* Painless and there is frequently no impairment of general health* Pseudomyxoma peritonei does not give rise to extraperitoneal metastasis* CT and USG shows a distinctive peritoneal scalloping of the liver margin, calcified plaques, ascites and low density masses* The appendix if present should be excised together with any ovarian tumour**** Adjuvant intracavitary radiotherapy - for residual disease**